Which is the most common antigen implicated in hemolytic disease of the newborn?
1. C antigen in Rh group
2. D antigen in Rh group
3. E antigen in Rh group
4. Duffy antigen

Correct answer: 2. D antigen in Rh group

Explanation: Ans. is 'b' i.e., D antigen in Rh group o Repeat from previous sessions